The earliest clinical manifestation of siderosis bulbi is:
1. Rusty deposits in the anterior subcapsular cells of the lens
2. Discolouration of iris
3. Deposits in Descemet's membrane of cornea
4. Pigmentary changes in retina

Correct answer: 1. Rusty deposits in the anterior subcapsular cells of the lens

Explanation: Ans. Rusty deposits in the anterior subcapsular cells of the lens